Nerve roots involved in klumpke's paralysis is:
1. C6, C7
2. C7, C8
3. C8, T1
4. T1, T2

Correct answer: 3. C8, T1

Explanation: Klumpke's Paralysis is due to injury of the lower trunk of branchial plexus. It involves mainly the T1 nerve root and partly C8 nerve root. All the small muscles of the hand are paralysed. Claw hand, horner syndrome and loss of sensation on the medial aspect of the arm are the common disabilities. Ref: B D Chaurasia's Human Anatomy: Volume 1, Page 52.